Loss of cardiac silhoutee is seen in pathology of:
1. Rt. Middle lobe
2. Rt. Lower lobe
3. Rt. Atria
4. Rt. Ventricle

Correct answer: 1. Rt. Middle lobe

Explanation: Ans. Rt. Middle lobe